Hypogastric Sheath is a condensation of:
1. Scarpa's fascia
2. Colle's fascia
3. Pelvic fascia
4. Inferior layer of Urogenital diaphragm

Correct answer: 3. Pelvic fascia

Explanation: Hypogastric sheath is a condensation of the endopelvic fascia (pelvic fascia). Ref: Grant's Atlas of Anatomy, 12th Edition, Page 251; Clinically Oriented Anatomy By Keith L Moore, Arthur F Dalley, 4th Edition